7 years old child presents with a lesion in upper tibia. X ray shows radioluscent area with Codmans triangle and Sunray appearance. Diagnosis is
1. Ewing sarcoma
2. Osteosarcoma
3. Osteoid Osteoma
4. Chondrosarcoma

Correct answer: 2. Osteosarcoma

Explanation: Sunray (sunburst) appearance and Codmans triangle ***typical freatures of Osteosarcoma ***may also be seen in Ewings sarcoma, osteomyelitis onion peel apperacne ***typical feature of Ewings sarcoma ***May also be seen in Osteosarcoma, and osteomyelitis Refer Maheshwari 9th/e p 240.